All of the following are features of prematurity in a neonate, except -
1. No creases on sole
2. Abundant lanugo
3. Thick ear cartilage
4. Empty scrotum

Correct answer: 3. Thick ear cartilage

Explanation: Ans. is 'c' i.e., Thick ear cartilage The ears in a premature neonate are soft and flat with ear cartilage being deficient and pliant (and not thick) Features of prematurity in a Neonate : o Baby is small in size usually less than 47 cm long. o Head is relatively large, sutures are widely separated and fontanelle are large o Face is small and buccal pad of fat is minimal Skin is thin and pinkish and appears shiny due to generalized edema. Skin is covered with abundant lanugo and there is little vernix caseosa. Subcutaneous fat is reduced o The breast nodule is less than 5 mm wide o The ears are soft and flat with ear cartilage being deficient and pliant o Testes are not descended into scrotal sac. (Empty scrotum) Scrotal sac is poorly pigmented and has less rugosities. o In females labia majora appears widely separated, exposing the labia minora and the clitoris. o Deep creases are not well developed in the sole. (There may be a single deep crease over the anterior one third of the sole) o Neonatal reflexes such as Moro, Suckling & Swallowing are sluggish. o There is hypotonia with a poor recoil of flexed forearm when extended.